Skin lesion in meningococcal meningitidis is due to?
1. Exotoxin
2. Endotoxin
3. Allergic reaction
4. Direct vascular Damage

Correct answer: 2. Endotoxin

Explanation: Ans. is 'b' i.e., Endotoxin Fulminant meningococcemia (purpura fulminans or Waterhouse - Friderichsen syndrome) is the most rapidly lethal form of septic shock experienced by humans. It differs from most otherform ofseptic shock by the prominance of hemorrhagic skin lesions (petechiae, purpura) and the consistent development of DIC. The pathogenic agent appears to be the endotoxin (LPS) released by autolysis. It is a proinflammatory molecule, that stimulates monocytes, neutrophils and endothelial cells to release cytokines like IL - 1, TNF- IF -land IL - 8. Remember --> Capsular polysacchoride is the major virulence factor for meningococci.